Which statement about the popliteal fossa is not true?
1. Is bounded superolaterally by Biceps Femoris.
2. Contains the Popliteal artery as the deepest structure.
3. Usually the sciatic nerve does not bifurcate
4. Usually contains the bifurcation of the sciatic nerve.

Correct answer: 3. Usually the sciatic nerve does not bifurcate

Explanation: The Sciatic Nerve divides into the Tibial and Common Peroneal Nerves in the Popliteal Fossa The Popliteal Artery is the deepest structure in the popliteal fossa. The Popliteal Vein is immediately Superficial with the nervous structures superficial to the vein. Boundaries -superior and medial: the semimembranosus & semitendinosus muscles -superior and lateral: the biceps femoris muscle -inferior and medial:the medial head of the gastrocnemius muscle -inferior and lateral:the lateral head of the gastrocnemius muscle and plantaris muscle Roof